which of the following is a side effect of vagal nerve stimulation
1. paradoxical suicide
2. voice alteration
3. aaythmia
4. epilepsy

Correct answer: 2. voice alteration

Explanation: Vagus nerve stimulation * Electrical stimulation of left vagus nerve * Stimulation of raphe nucleus and locus cereleus * Release of norepinephrine and serotonin * Side effects * Voice alteration Ref. kaplon and sadock, synopsis of psychiatry, 11 th edition, pg no. 1065